Crocodile skin appearance is seen in :
1. High voltage burns
2. Electric shocks
3. Drowning
4. Mummifications

Correct answer: 1. High voltage burns

Explanation: A i.e. High voltage burn Lightening stroke produce three types of burn - linear burns (in moist creases & folds of skin), surface burns (beneath worn metallic objects) and Filigree or Arborescent or Lichtenberg's flowers burnQ (superficial, thin, irregular tortuous marking resembling branches of tree or fern(2) Filgree/ Arborescent/ Lichtenberg's Flower's Burn are superficial, thin, irregular tortous markings resembling branching of a tree or fere. These are formed d/t rupture of smaller blood vessels, in an injury d/t lightenine